Carhart's notch in otosclerosis is observed at: (Repeat)
1. 1000 HZ
2. 2000 HZ
3. 3000 HZ
4. 4000 HZ

Correct answer: 2. 2000 HZ

Explanation: Ans: B (2000HZ) Ref: Diseases of the Ear Nose and Throat by PL Dhingra 5th edn .2010.pg 97-100Explanation:Carhart's notchCarhart's notch is classically seen as a dip centered around 2 kHz range of hone conduction curve audiometery.This feature is seen in patients with otosclerosis.This notch will disappear after a succesful stapedotomyThere is also effective improvement in the patient's level of hearing at 2 KHz frequency levels.